In glycolysis, the conversion of 1 mol of fructose 1,6-bisphosphate to 2 mol of pyruvate results in the formation of:
1. 1 mol NAD+   and 2 mol of ATP
2. 2 mol NAD+   and 4 mol of ATP
3. 2 mol NADH and 2 mol of ATP
4. 2 mol NADH and 4 mol of ATP

Correct answer: 4. 2 mol NADH and 4 mol of ATP